What is the Shape of the body of uterus ?
1. Pear shaped
2. Oval
3. Cylindrical
4. Spindle

Correct answer: 1. Pear shaped

Explanation: The uterus is pyriform or pear shaped in shape. It is about 7.5 cm long, 5 cm broad, and 2.5 cm thick. It weighs 30 to 40 grams. It is divisible into an upper expanded part called the body and a lower cylindrical part called the cervix. The junction of these two parts is marked by a circular constriction called Isthmus. The body forms the upper two-thirds of the organ, and the cervix forms the lower one-third. Ref : B D Chaurasia's Human Anatomy, Seventh Edition , volume 2 , pg.no., 419